K-complexes & Sleep spindles are seen in
1. NREM 1
2. NREM 2
3. NREM 3
4. REM

Correct answer: 2. NREM 2

Explanation: Sleep spindles: Bursts of regular waves of frequency 13 -15 Hz
K- Complexes: High voltage spikes which are seen intermittently.
Both are seen in NREM2.